Minimum amount of GI bleed to cause melena is
1. 10 ml
2. 40 ml
3. 60 ml
4. 115 ml

Correct answer: 3. 60 ml